Sibutramine is indicated for:
1. Smoking cessation
2. Obesity
3. Severe weight loss
4. Mania

Correct answer: 2. Obesity